Most common renal stone:
1. Calcium oxalate stone
2. Uric acid stone
3. Staghorn calculi
4. Cysteine stone

Correct answer: 1. Calcium oxalate stone

Explanation: Calcium oxalate MC type of kidney stone (85%) Risk factor are hypercalciuria, hypercalcemia, hyperoxaluria Have hard, small and jagged surface. On section-wavy concentric laminae